High calcium intake can lead to
1. Osteoporosis
2. Osteopotrosis
3. Milk alkali syndrome
4. Renal failure

Correct answer: 3. Milk alkali syndrome

Explanation: Refer Robbins page no Milk alkali syndrome is due to excessive ingestion of calcium and absorbabke antacids such as milk or calcium carbonate .This is associated with the development of metastatic Calcification